All of the following are clinical manifestation of Kawasaki disease, Except:
1. Pedal Edema
2. Cervical Lymphadenopathy
3. Strawberry tongue
4. Exudative conjunctivitis

Correct answer: 4. Exudative conjunctivitis

Explanation: Answer is D (Exudative conjunctivitis): Kawasaki disease is associated with non exudative conjunctivitis Diagnostic criteria for Kawasaki disease include bilateral bulbar conjunctival injection without exudate as one of their diagnostic criteria. Classic Clinical criteria for Kawasaki Disease (Diagnosis is based on clinical signs) Fever persisting at least 5 days Presence of at least 4 principal features Changes in extremities - Erythema of palms soles - Edema of hands, feet - Periungual peeling offingers,toes in weeks 2 and 3 Polymorphous exanthem Bilateral bulbar conjunctival injection withoutexudate Changes in lips and oral cavity - Erythema, lips cracking, strawberry tongue, diffuseinjection of oral and pharyngeal mucosa Cervical lymphadenopathy (>1.5cm diameter usually unilateral) Exclusion of other diseases with similar findings Characteristic Laboratory Findings (There is no diagnostic test for KD) Leukocytosis with neutrophilia and immature forms Elevated erythrocyte sedimentation rate Elevated C- reactive protein (CRP) Anemia Abnormal plasma lipids Hypoalbuminemia Hypernatrenia Thrombocytosis after week 1 Sterile pyuria Elevated serum transaminases Elevated serum gamma glutamyl transpeptidase Pleocytosis of cerebrospinal fluid Leukocytosis in synovial fluid Patients with fever at least 5 days and < 4 principal criteria can be diagnosed with Kawasaki disease when coronary artery abnormalities are detected with 2DE or angiography.